Biocompatibility is best for:
1. Beta-titanium
2. Stainless steel
3. Nitinol
4. Base metal alloys

Correct answer: 1. Beta-titanium